Potts shunt is -
1. Rt subclan aery to pulmonary aery
2. Descending aoa to left pulmonary aery
3. Left subclan to left pulmonary aery
4. Ascending aoa to right pulmonary aery

Correct answer: 2. Descending aoa to left pulmonary aery

Explanation: Ans. is 'b' i.e., Descending aoa with left pulmonary aery